Labourers nerve is another name for which nerve:
1. Median nerve
2. Radial nerve
3. Ulnar nerve
4. Axillary nerve

Correct answer: 1. Median nerve

Explanation: The median nerve controls the coarse movements of the hands, as it supplies most of the long muscles of the front of the forearm a nd therefore called the 'labourer's nerve'. The median nerve is formed from parts of the medial and lateral cords of the brachial plexus The median nerve is the only nerve that passes through the carpal tunnel. Innervation Upper Arm No motor innervation. Forearm It innervates most of the flexors in the forearm except flexor carpi ulnaris and the medial two digits of flexor digitorum profundus, which are supplied by the ulnar nerve. Unbranched, the median nerve supplies the following muscles: Pronator teres Flexor carpi radialis Palmaris longus Flexor digitorum superficialis muscle. The anterior interosseus branch supplies the following muscles: Lateral (radial) half of flexor digitorum profundus muscle Flexor pollicics longus muscle Pronator quadratus Hand. In the hand, the median nerve supplies motor innervation to the 1st and 2nd lumbricals and the muscles of the thenar eminence of the hand by a recurrent thenar branch. The rest of the intrinsic muscles of the hand are supplied by the ulnar nerve. Injury Injury of this nerve at a level above elbow joint results in loss of pronation and a decrease in flexion of the hand at the wrist joint. In the hand, thenar muscle are paralysed and atrophy with in time. Opposition and flexion movements of thumb are lost, and thumb and index finger are arrested in adduction and hyperextension position. This appearance is referred as ape hand deformity. In addition, in palmar side of the hand sensation of lateral part of hand, first three fingers and lateral half of the f our t h finger and in dorsal side sensation of distal S! portion of first three fingers and lateral half of distal S! portionof fourth finger is lost.